Elastic cartilages is found in
1. Tracheal cartilage
2. Auricular cartilage
3. Articular disc
4. Bronchi

Correct answer: 2. Auricular cartilage

Explanation: Distribution of elastic cartilage-it forms the 'skeletal 'basis of the auricle and of the lateral part of the external acoustic meatusINDERBIR SINGH'S TEXT BOOK OF HUMAN HISTOLOGY-reference,page no:85